The relative risk of 1 indicates that
1. There is no cause effect relationship
2. Effect may be due to type 1 error
3. Strong correlation
4. Effect may be due to type 2 error

Correct answer: 1. There is no cause effect relationship

Explanation: Relative risk is the ratio of the incidence of the disease (or death) among exposed and the incidence among non-exposed. A relative risk of 1 means the incidence in exposed and non-exposed is same. So there is no relation between disease and cause (exposure). Park, pg: 79